The normal albumin: globulin (A/G) ratio blood is
1. 5:01
2. 2:01
3. 1:02
4. 1:01

Correct answer: 2. 2:01

Explanation: Normal albumin-globulin ratio is 1.8 : 1 to 2 : 1.
Synthesis of albumin exclusively occurs in liver but many globulins (immunoglobulins) are synthesized by B lymphocyte.